Nitroglycerine cannot be administered by which of the following route:
1. I.M.
2. I.V.
3. Oral.
4. Sublingual.

Correct answer: 1. I.M.